Most common oral manifestation of HIV infection is
1. Oral hyperpigmentation
2. Oral hairy leukoplakia
3. Oral candidiasis
4. Bacillary angiomatosis

Correct answer: 3. Oral candidiasis